Woods lamp has a frequency of -
1. 250 nm
2. 300 nm
3. 320 nm
4. 360 nm

Correct answer: 4. 360 nm

Explanation: WOOD'S LAMP Hand held device used to diagnose various dermatological conditions.It is a mercury vapour long wave,ultraviolet lamp with an inbuilt wood's filter made of barium silicate with 9% nickel oxide. Opaque to all wavelengths except those between 320 nm and 400 nm with a peak at 365 nm. Flourescence occurs when wood's light is absorbed and radiation of longer wavelengths is emitted.Examination done in dark room. Iadvl textbook of dermatology page 109